Acclimatization does NOT include
1. Hyperventilation
2. Decreased concentration of 2,3 DPG in RBC
3. Increased erythropoiesis
4. Kidney excrete more alkali

Correct answer: 2. Decreased concentration of 2,3 DPG in RBC

Explanation: It includes increase in pulmonary ventilation, increases in RBC count and hemoglobin content, increase in 2,3-DPG.(Ref. Textbook of physiology N Geetha 2nd edition page no.265)